Northern blotting is used for analysis of
1. DNA
2. RNA
3. Proteins
4. Polysaccharides

Correct answer: 2. RNA

Explanation: To demonstrate specific RNA The total RNA is isolated from the cell, electrophoresed and then blotted on membrane Probed with radioactive cDNA There will b RNA-DNA hybridization Used to detect the gene expression in a tissueRef: DM Vasudevan, 7th edition, page no: 634